Which of the following is the most common cause of anterior uveitis?
1. Idiopathic
2. HLA-B27
3. Sarcoidosis
4. Tuberculosis

Correct answer: 1. Idiopathic

Explanation: Ans. (a) IdiopathicRef: Yanoff 2/e, p 1115, Review of ophthalmology by William B. Trattler, peter K. Kaiser, Neil J. Friendman 2012, p 299, Esentials of ophthalmology by Neil J. Friedman 1st 2007, p 195